Alpha feto protein is a tumor marker for:
1. Hepatocellular Carcinoma
2. Ovarian carcinoma
3. Seminoma
4. Pheochromocytoma

Correct answer: 1. Hepatocellular Carcinoma

Explanation: Alpha Feto Protein: Tumor Marker for: Hepatocellular Carcinoma Non seminoma Germ cell Tumor Embryonic Tumor Yolk sac Tumor Variant of HCC in which AFP is not elevated:Fibrolamellar variant Tumor marker for seminoma :KiT, OCT4, PLAP. Tumor marker for Ovarian carcinoma: CA- 125. Tumor marker for Pheochromocytoma: Metanephrines